Daily insensible water loss through respiratory tract is
1. 100ml
2. 200ml
3. 350ml
4. 700ml

Correct answer: 3. 350ml

Explanation: insensible water loss includes respiratory loss and water loss through skin Water loss through skin-350 Insensible loss through respiratory tract-350 Ref:Guyton and Hall textbook of medical physiology 12th edition pg 43